which of the following mumurs will increase with valsalva ?
1. MR
2. VSD
3. AS
4. HOCM

Correct answer: 4. HOCM

Explanation: HOCM REF: harrisons 21st ed